Small amount of atropine is added to diphenoxylate because
1. Suppress vomiting in gastro enteritis
2. Increase anti motility action
3. Block side effects of diphenoxylate
4. To decrease abuse of diphenoxylate

Correct answer: 4. To decrease abuse of diphenoxylate

Explanation: Atropine is an anti muscarinic drug diphenoxylate is an opoid drug which when given has property of abuse hence atropine is added to it aas the anti muscarinic side effects of atropine will decrease the abuse of the drug. ReF:KDT 6/e p664